Which of the following is not seen in humans?
1. Estrous cycle
2. Menstrual cycle
3. Endometrial cycle
4. Ovarian cycle

Correct answer: 1. Estrous cycle

Explanation: Estrous cycle the recurring periods of estrus in adult females of most mammalian species except human and the correlated changes in the reproductive tract from one period to another.Ref: Ganong's review of medical physiology; 24th edition; page no:-406